A-30-year old male is having Attic cholesteatoma of left ear with lateral sinus thromboplebitis. Which of the following will be the operation of choice -
1. Intact canal will be the operation of choice
2. Simple mastoidectomy with tympanoplasty
3. Canal wall down mastoidectomy
4. Mastoididectomy with cavity obliteration

Correct answer: 3. Canal wall down mastoidectomy